Which of the following is/are source of mortality related data:
1. Sample registration system
2. Death certificate
3. Central births & deaths registration act
4. All

Correct answer: 4. All

Explanation: Ans: D (AlI) SAMPLE REGISTRATION SYSTEM Park23rd/84lThe SRS is a dual-record system, consisting of continuous enumeration of births & deaths by an enumerator & an independent survey every 6 months by an investigator- supervisorSince the introduction of this system, more reliable information on birth & death rates, age-specific fertility & mortality rates, infant, under-five & adult mortality etc. have become availableThe central births & deaths registration act,1969 Park 23rd/841# The act came into force on 1 april 1970# The act provides for compulsory registration of births & deaths throughout the country# The time limit for registering the event of births & that of deaths is 21 days uniformly allover India